The first to appear in acute intestinal obstruction is ?
1. Constipation
2. Colicky pain
3. Vomiting
4. Distension

Correct answer: 2. Colicky pain

Explanation: Symptoms of Intestinal Obstruction Symptoms of Intestinal Obstruction: Pain, vomiting, distention and constipation Pain is the first symptom encountered; it occurs suddenly and is usually severe. Pain in Intestinal Obstruction It is colicky in nature and is usually centered on the umbilicus (small bowel) or lower abdomen ( large bowel) The pain coincides with increased peristaltic activity The development of severe pain is indicative of the presence of strangulation Pain may not be significant feature in postoperative simple mechanical obstruction and does not usually occur in paralytic ileus